Angiographically,the typical "beaded" or "pile of plates"appearance involving the internal carotid acry is seen In -
1. Takayasu's Disease
2. Non-specific aoo-aeritts
3. Fibromuscular dysplasia
4. Rendu-Osler-Weber Disease

Correct answer: 3. Fibromuscular dysplasia

Explanation: Fibromuscular dysplasia is a hyperplastic disorder that affects medium-size and small arteries. It occurs predominantly in females and usually involves the renal and carotid arteries but can affect extremity vessels such as the iliac and subclavian arteries. The histologic classification includes intimal fibroplasia, medial dysplasia, and adventitial hyperplasia. Medial dysplasia is subdivided into medial fibroplasia, perimedial fibroplasia, and medial hyperplasia.fibroplasia is the most common type and is characterized by alternating areas of thinned media and fibromuscular ridges. The internal elastic lamina usually is preserved. The iliac arteries are the limb arteries most likely to be affected by fibromuscular dysplasia.It is identified angiographically by a "STRING OF BEADS" appearance caused by thickened fibromuscular ridges contiguous with thin, less-involved portions of the arterial wall. When limb vessels are involved, clinical manifestations are similar to those for atherosclerosis, including claudication and rest pain. PTA and surgical reconstruction have been beneficial in patients with debilitating symptoms or threatened limbs. ref:Harrison's principles of internal medicine,ed 18,pg no 2069